RNA polymerase does not require
1. Divalent metal ions
2. Primer
3. Template
4. Activated precursors

Correct answer: 2. Primer

Explanation: RNA Polymerases Mammalian : RNAP type II or B is the main enzyme synthesizing mRNAs.It is inhibited by alpha amanitin. Amanitin blocks the translocation of RNAPduring mRNA synthesis. SnRNA and mRNA are also synthesized by the same RNAP B. RNAP has two large and 12 smaller subunits. Phosphorylation activates RNAP II The templte strand is transcribed to give rise to mRNA. BACTERIAL : BacterialRNAP enzyme contains two alpha , two beta subunits ,one omega subunit and inert sigma factor and two zinc molecules. Beta subunit fixes at the initiation site. The sigma factor recognizes the promoter site and increases the affinity if the holoenzyme to the promoter site. REF : DM VASUDEVAN TEXTBOOK ; 7th EDITION ; Page no :589